True about tuberculosis
1. >104 bacilli are required in sputum for detection
2. Mantoux test can differentiate between BCG and infection
3. Can be grown on ordinary culture media
4. Drug sensitivity is tested by schick test

Correct answer: 1. >104 bacilli are required in sputum for detection